CA - 125 increased in all EXCEPT :
1. T.B. of genital organ
2. Ovarian cancer
3. Endometriosis
4. Stein - leventhal syndrome

Correct answer: 4. Stein - leventhal syndrome

Explanation: Stein - leventhal syndrome